Localized Langerhans cells histiocytosis affecting Head & neck is?-
1. Letterer-Siwe disease
2. Pulmonary Langerhans cell histiocytosis
3. Eosinophilic granuloma
4. None

Correct answer: 3. Eosinophilic granuloma

Explanation: Eosinophilic granuloma is a form of Langerhans cell histiocytosis. It is a condition of both human and veterinary pathology. Colloquially, the reaction pattern is sometimes referred to as a rodent ulcer. Feline eosinophilic granuloma complex is synonymous with feline eosinophilic skin diseases. This is considered to be a cutaneous reaction pattern that can be the manifestation of a number of underlying infections, allergies or ectoparasite infestations. It can also be idiopathic, that is have no known underlying trigger. The eosinophilic reaction is common in feline inflammatory disease and the eosinophilic granuloma can be a hereditary reaction pattern in some lines of domestic cats.Aside from the mosquito allergy cat, cats with EGC usually have allergy, ectoparasite infestation or possibly ringworm or other skin infection. Other implicated causes include traumatic damage, autoimmune disease or FeLV infection.